Low insulin/glucagon levels to increase in the activity of
1. Hexokinase
2. Glucokinase
3. Glucose-6-phosphatase
4. Pyruvate kinase

Correct answer: 3. Glucose-6-phosphatase

Explanation: Insulin has several effects in liver which stimulate glycogen synthesis. First, it activates the enzyme hexokinase, which phosphorylates glucose, trapping it within the cell. Coincidently, insulin acts to inhibit the activity of glucose-6-phosphatase.When the insulin level is decreased, activity of enzyme glucose-6-phosphatase is increased, thereby increasing glycogenolysis and gluconeogenesis